Psychrophilic bacteria grow best at which of the following temperatures?
1. <20degC
2. 30-37degC
3. 50-0degC
4. >60degC

Correct answer: 1. <20degC

Explanation: Ans. a (< 20degC) (Ref. Ananthanarayan Microbiology 7th/pg. 22)On the basis of temperature relationship, microorganisms are broadly divided into three groups:Phychrophiles grow optimally at0-5degCMesophiles at20~45degCThermophiles> 55degCMany yeasts and molds and, certain bacteria grow well in acidic media (pH 5.0 or lower) while most bacteria require a pH near neutrality (6.5-8.0) for optimal growth.